Guardian angel against obesity name given to?
1. Adiponectin
2. Fibronectin
3. HDL
4. Insulin

Correct answer: 1. Adiponectin

Explanation: Ans. (a) Adiponectin